Which is not a feature of Von Gierke disease?
1. Hepatorenomegaly
2. Myopathy
3. Growth Retardation
4. Doll like faces

Correct answer: 2. Myopathy

Explanation: Von gierke disease generally will not have muscle involvement. They mainly have enlarged liver and kidney(due to glycogen and lipid storage), stunted growth and doll like faces. Also there will be high lactate and uric acid and lipid levels along with hypoglycemia.